Hyponatremia with Isovolemia is seen in-
1. SIADH
2. Conn's syndrome
3. Cushing' syndrome
4. Frusemide therapy

Correct answer: 1. SIADH

Explanation: The syndrome of inappropriate secretion of antidiuretic hormone (SIADH) is a disorder of impaired water excretion caused by the inability to suppress the secretion of antidiuretic hormone (ADH) . If water intake exceeds the reduced urine output, the ensuing water retention leads to the development of hyponatremia Ref Davidson 23rd edition pg 366